All of the following can can be used for prophylaxis of migraine except
1. Sumatriptan
2. Valproate
3. Propanolo
4. Topiramate

Correct answer: 1. Sumatriptan

Explanation: sumatriptan is the drug of choice for acute severe migraine but it is not indicated for prophylaxis Refer katzung 11/e p283